A Pap smear of a 23-year-old woman demonstrates squamous cells with enlarged, hyperchromatic nuclei and prominent perinuclear halos. The Pap smear is graded as cervical intraepithelial neoplasia, grade II (CIN II). Which of the following viruses is most likely to be etiologically related to this neoplastic growth?
1. Epstein-Barr virus (EBV)
2. Hepatitis B virus (HBV)
3. Human herpesvirus 8 (HHV 8)
4. Human papillomavirus (HPV)

Correct answer: 4. Human papillomavirus (HPV)

Explanation: CIN II corresponds to moderate dysplasia of the cervix. The CIN lesions of all grades (including condyloma) and the cervical cancers that can arise from them appear to be associated with infection with certain subtypes of human papillomavirus (HPV). Koilocytotic atypia (enlarged, hyperchromatic nuclei and prominent perinuclear halos) is commonly observed with HPV infection. HPV is usually spread through sexual contact and also causes penile and anal condyloma and carcinomas. EBV is associated with nasopharyngeal carcinoma and Burkitt's lymphoma. HBV is associated with hepatocellular carcinoma. HHV 8 is associated with Kaposi's sarcoma. Ref: Ray C.G., Ryan K.J. (2010). Chapter 19. Papilloma and Polyoma Viruses. In C.G. Ray, K.J. Ryan (Eds), Sherris Medical Microbiology, 5e.